TMJ is a type of:
1. Secondary joint.
2. Ginglino- Arthroidal joint.
3. Synovial joint.
4. All of the above.

Correct answer: 4. All of the above.

Explanation: Based on evolution TMJ is a secondary joint.
Has rotational and sliding movement hence Ginglino- Arthroidal joint.
It has articulation of 3 bones hence compound joint.